All of the following are associated with increased risk of atherosclerotic plaque formation, except?
1. Apo E mutation
2. Oxidized LDL
3. Increased homocysteine
4. Increased Alpha 2 macroglobulin

Correct answer: 4. Increased Alpha 2 macroglobulin

Explanation: Increased Alpha 2 macroglobulin is not associated with increased risk of atherosclerotic plaque formation. Ref: Atherosclerosis Risk Factors By James J. Maciejko page 44. Advances in Vascular Medicine By David Abraham page9; Free radicals and diseases: gene expression, cellular metabolism By Tilman Grune page153.